Symphalangism is:
1. Reduplication of fingers
2. Fusion of the interphalangeal joints
3. Shortening of the fingers as a result of decreased length of the phalanges
4. Joined fingers

Correct answer: 2. Fusion of the interphalangeal joints

Explanation: Ans. B. Fusion of the interphalangeal jointsFusion of interphalangeal joints usually the middle with the proximal phalanx, it usually accompanies syndactylism.Treatment is by fusing in the functional position of partial flexion